In leprosy nerves commonly involved?
1. High ulnar, low median
2. High median, low ulnar
3. Triple nerve palsy
4. High radial, low median

Correct answer: 1. High ulnar, low median

Explanation: Involvement is high ulnar (at or above elbow) and low median (at wrist). The sensory component is commonly the first and most severely affected, but occasionally there is a pure motor lesion. Autonomic dysfunction is always present in severe nerve damage. MC cranial nerve involved: Facial MC peripheral nerve involved: Ulnar>Posterior Tibial